Pathological jaundice in neonates, criteria include all Except
1. 24 hours later but within 72 hours
2. More than 14 days persistence
3. > 2mg / dl conjugated bilirubin
4. Clay colored stool

Correct answer: 1. 24 hours later but within 72 hours

Explanation: Pathological jaundicePresence of any of the following signs denotes that the jaundice is pathological:Clinical jaundice detected before 24 hours of ageRise in serum bilirubin by more than 5 mg/dL/daySerum bilirubin more than 15 mg/dLClinical jaundice persisting beyond 14 days of lifeClay/white coloured stool and/or dark urine staining the clothes yellow.Direct bilirubin >2 mg/ dL at any time